Postural hypotension is seen with all except
1. Prazosin
2. Terazosin
3. Tamsulosin
4. Doxazosin

Correct answer: 3. Tamsulosin

Explanation: Alpha blockers can cause postural hypotension, which is also known as First Dose Hypotension. So to avoid First dose Hypotension Alpha 1A blockers are used. e.g. - TAMSULOSIN, SILODOSIN (New drug). Tamsulosin used in benign prostatic hyperplasia Another drug category with similar adverse effect is ACE inhibitors like captopril.